Physiologically most active form of Vitamin D is
1. Calciferol
2. Calcitriol
3. Ergocalciferol
4. Cholecalciferol

Correct answer: 2. Calcitriol